Least common cause of sporadic encephalitis ?
1. HSV
2. VZV
3. Arbovirus
4. Rhinovirus

Correct answer: 4. Rhinovirus

Explanation: Ans. is `d' i.e., Rhinovirus Causes of viral encephalitis are :- HSV Rabies virus VZV Arboviruses (west rile, eastern equine) CMV